Cerebellar nucleus involved in saccadic eye movement:-
1. Dentate
2. Emboliform
3. Fastigial
4. Globose

Correct answer: 3. Fastigial

Explanation: Cerebellar nuclei function Dentate working with lateral part Co-ordinate movement of joint Fastigial working with central vermis Saccadic eye movement. Interposed nuclei (emboliform & globose) working with para vermal area Feedback mechanism from joints to have proper co- ordination of joint.